In cases of hypergonadotropic hypogonadism in males-
1. FSH will be normal
2. FSH is elevated
3. Testosterone is elevated
4. None of the above

Correct answer: 2. FSH is elevated

Explanation: Ans. is 'b' i.e., FSH is elevated * A very high FSH would indicate a testicular cause, (hypergonadotropic hypogonadism)* A very low FSH would indicate pretesticular (hypothalamic/pituitary) cause.* A normal FSH would indicate a posttesticular cause.